Which of the following is used for treatment of Myopia?
1. Nd-YAG LASER
2. Excimer Laser
3. Harmonium Laser
4. Argon Laser

Correct answer: 2. Excimer Laser

Explanation: Treatment of Myopia A) Methods to flatten central corneaSurgeryRange of MyopiaRadial keratotomy 1--6 DPhotorefractive keratotomy 1 - 6 DAutomated lamellar keratectomy6 - 32 DExcimer Laser Assisted Insitu Keratomileusis 2 - 12 D ( upto 30 D )LASEK 1 - 6 D Intracorneal rings 1 - 6 D B) Methods to reduce the overall refractory power of eye Clear lens extraction>15 D(Refer: AH Khurana, Comprehensive Textbook of Ophthalmology,5th edition,pg no: 32-36)